Intake of which of these cause vascular lesions in the liver -
1. Halothanes
2. INH
3. Steroids
4. CPZ

Correct answer: 3. Steroids

Explanation: Here is a list of drug-induced vascular disorder in the liver 
1. Peliosis hepatis (Sinusoidal dilatation) → Anabolic steroids, Oral contraceptives, Danazol
2. Hepatic or portal vein thrombus → Estrogens, Oral contraceptives, Cytotoxic drugs
3. Veno occlusive disease → Cytotoxic drugs, Pyrrolizidine alkaloids